A 1-year-old child presented with involuntary movements which were choreoathetoid in nature, spasticity, dystonias and intellectual disability. The speech of the child was dysarthric and mother also gave history of compulsive biting. Some inherited disorder was suspected. The child was normal at birth. Lab findings revealed increased uric acid levels. The enzyme deficient in the above condition catalyses which of the following reactions.
1. Guanine to GMP
2. GMP to guanine
3. Adenine to AMP
4. AMP to adenine

Correct answer: 1. Guanine to GMP

Explanation: This is a case of Lesch-nyhan syndrome due to the deficiency of enzyme HGPRTase.